C/F of lateral medullary syndrome -a) Ipsilateral numbness of arm, trunkb) Ipsilateral 12th nerve palsyc) Ipsilateral Horner's syndromed) Contralateral pyramidal tract sign.
1. ac
2. ad
3. bc
4. cd

Correct answer: 1. ac